Contraceptive failure 10/100 women years means:
1. 0.1 accidental pregnancy per 100 woman year using contraceptives
2. 100 accidental pregnancy per 1000 woman year using contraceptives
3. 10 accidental pregnancy per 1000 woman year using contraceptives
4. 10 accidental pregnancy per 100 woman year using contraceptives

Correct answer: 4. 10 accidental pregnancy per 100 woman year using contraceptives

Explanation: D i.e. 10 accidental pregnancy per 100 woman year using contraceptivesRef: AH Suryakantha, Community Medicine with Recent Advances, 3rd edition, page 651Explanation:Named after Raymond Pearl(FailureRate)PearlIndex =TotalwomanmonthsofexposureTotalnumberofaccidentalpregnancies x1200A Pearl Index of 10 per HWY means that 10 out of 100 woman will become pregnant if they are using that particular method of contraception in one year.To interpret effectiveness of a contraceptive method a minimum of 600 months of exposure is usually considered as necessary.Other methods of evaluation are:Method failure.User failure.Life table analysis.Pearl Index of various contraceptives used are:Calendar Method -9/100 HWY (9%)BBT Method -1-2/100 HWY (1-2%)Cervical Mucus Method -3/100 HWY (3%)Symptothermal Method -2/100 HWY (2%)Foam Tablets - 0.5%Condoms - 12%Condoms correctly used - 3%IUCD - 1-2%OCP-0.1%